A patient of Acute lymphocytic leukaemia with fever and neutropenia develops diarrhoea after administration of amoxicillin therapy, which of the following organism is most likely to be the causative agent
1. Salmonella typhi
2. Clostridium difficile
3. Clostridium perfringens
4. Shigella flexneri

Correct answer: 2. Clostridium difficile

Explanation: Clostridium difficile causes acute colitis with bloody diarrhea and pseudomembranous colitis. A common cause of nosocomial diarrhea. The disease follows the use of broad-spectrum antibiotics like clindamycin, ampicillin, amoxicillin, or fluoroquinolones to which it is resistant. Exotoxin A and B involved in the pathogenesis. An opportunistic organism that causes disease only when the normal mechanism is altered. Reference: Textbook of Microbiology; Anathanarayan and paniker's; 10th edition; Page no: 270